In fracture of femur popliteal artery is damaged by
1. Upper 1/3rd fragment
2. Middle 1/3rd fragment
3. Distal  1/3rd fragment
4. Popliteal artery is never involved

Correct answer: 3. Distal  1/3rd fragment